Cephalic vein drains into ?
1. Brachial vein
2. Subclavian vein
3. Axillary vein
4. IVC

Correct answer: 3. Axillary vein

Explanation: Ans. is `c' i.e., Axillary vein